Levels of progesterone indicating unviable pregnancy and viable intrauterine pregnancy are:
1. 5 ng/ml; 20 ng/ml
2. 10 ng/ml; 20 ng/ml
3. 5 ng/ml; 50 ng/ml
4. 10 ng/ml; 50 ng/ml

Correct answer: 1. 5 ng/ml; 20 ng/ml

Explanation: Serum progesterone concentration <5 ng/ml suggest a dying pregnancy Level > or = 20 ng/ml support the diagnosis of a healthy pregnancy. Ref: Williams Obs 24e pg 355.